Which of the following in halational agent sensitizes myocardium to catecholamine -
1. Sevoflurane
2. Isoflurane
3. Ether
4. Halothane

Correct answer: 4. Halothane

Explanation: Ans. is 'd' i.e., Halothaneo Some inhalational agent sensitize the heart to adrenaline -->>Arrhythmias can occur Therefore these agents are contraindicated in Pheochromocytoma and along with adrenaline.o Halothane has maximum propensity .o Other agents sensitizing the heart to adrenaline are Trilene, Cyclopropane, Chloroform, Enflurane.